According to WHO, crede's method is applied for prophylactic use in ophthalmia neonatorum, is
1. Silver nitrate solution
2. Erythromycin ointment
3. Tetracycline ointment
4. Penicilline injection

Correct answer: 1. Silver nitrate solution

Explanation: (Silver nitrate solution): Ref: 164-65-P, 71-KHOPHTHALMIA - NEONATORUM: any discharge or even watering from the eyes in the first week of life should arouse suspion of ophthalmia neonatorum* Use of either 1% tetracycline ointment or 0.5% erythromycin ointment or 1% silver nitrate solution (Crede's method) into the eyes of the babies immediately after birth* Single injection of ceftriazone 50 mg/Kg IV or IV (not to exceed 125 mg) should be given to infants born to mothers with untreated gonococcal infections.